Polymerisation of heat-cured methyl methacrylate is initiated by:
1. Tertiary amine
2. Benzoyl peroxide free radical
3. Hydroquinone
4. Methyl ether

Correct answer: 2. Benzoyl peroxide free radical